Basanti Devi 45 yrs old women present with hot flush after stopping of menstruation. 'Hot Flush' can be relieved by administration of following agents:
1. Ehinyl estradiol
2. Testesterone
3. Fluoxymesteron
4. Danazol

Correct answer: 1. Ehinyl estradiol

Explanation: Estrogens are the principal medications used to relieve hot flushes. Estrogen blocks both perceived symptoms and physiological changes. Ref: Shaw's Textbook of Gynaecology, 12th Edition, Page 43 ; Current Obs and Gynae Diagnosis and Treatment 9th Edition, Page 1024